The following virus isn't enveloped virus but contains double stranded RNA
1. Adenovirus
2. Reovirus
3. CMV
4. Hepatitis B virus

Correct answer: 2. Reovirus

Explanation: Reovirus, rotavirus and Colorado tick virus are double-stranded RNA viruses with no envelope DS RNA viruses doesn't have envelope Ref: Baveja 5th ed Pg: 423